Where in the cell does Glycolysis occur?
1. Cytosol
2. Mitochondria
3. Nucleus
4. Lysosome

Correct answer: 1. Cytosol

Explanation: Glycolysis occurs in Cytosol, whereas TCA cycle occurs in Mitochondrion.